The main difference between dental stone and dental plaster is:
1. Chemical composition
2. Self life
3. Shape and size of particles
4. Solubility in water

Correct answer: 3. Shape and size of particles